Which tocolytic drug results in pulmonary oedema (adverse effect)-
1. Ritodrine
2. Indomethacin
3. Nifedipine
4. Atosiban

Correct answer: 1. Ritodrine

Explanation: Ans. is 'a' i.e., Ritodrine